Anti-DNAase B is used for diagnosis of
1. Staphylococcus
2. Streptococcus
3. Corynebacterium
4. Neiserria

Correct answer: 2. Streptococcus

Explanation: Antideoxyribonuclease B ( anti-DNA as B)antibody: serological test to determine streptococcal infection. Anti-DNAase B and antihyaluronidase test are very useful for retrospective diagnosis of streptococcal pyogenes infections, where ASO titer may be low. Ref: Textbook of Microbiology; Ananthanarayanan and Panicker; 10th Edition; page:214